Tripod fracture is the name given for
1. Zygomatic fracture
2. Maxillary fracture
3. Mandibular fracture
4. Temporal fracture

Correct answer: 1. Zygomatic fracture

Explanation: Zygoma fracture is also known as tripod fracture. Clinical features of zygoma fracture Considerable swelling over zygomatic arch is common and makes clinical diagnosis more difficult. Flattening of malar prominence. Step-deformity of infraorbital margin. Anaesthesia in the distribution of infraorbital nerve. Trismus, due to depression of zygoma on the underlying coronoid process. Oblique palpebral fissure, due to the displacement of lateral palpebral ligament. Restricted ocular movement, due to entrapment of inferior rectus muscle. It may cause diplopia. Periorbital emphysema, due to escape of air from the maxillary sinus on nose-blowing. The mucosa of the maxillary sinus may be lacerated and cause epistaxis on that side. Fracture of the zygoma may or may not be painful to palpation and running a finger along the zygomatic arch may give a feel of a depressed fracture or a small dimple. The cheek may appear flattened compared to symmetry with the opposite side. This may be obvious immediately following trauma or several days later once swelling has subsided.